The type of non hodgkins lymphoma with highest rate of gastrointestinal system involvement is:
1. B cell chronic lymphocytic leukemia
2. Mantle cell lymphoma
3. Extranodal marginal zone B cell lymphoma of MALT type
4. Follicular lymphoma

Correct answer: 3. Extranodal marginal zone B cell lymphoma of MALT type

Explanation: Disease Median Age, years B Symptoms, % Bone Marrow Involvement, % Gastrointestinal Tract Involvement, % B cell chronic lymphocytic leukemia 65 33 72 3 Mantle cell lymphoma 63 28 64 9 Extranodal marginal zone B cell lymphoma of MALT type 60 19 14 50 Follicular lymphoma 59 28 42 4 Ref: Harrison, E-18,P-925